Iron absorption is increased by all except ?
1. High vitamin C in diet
2. High phosphates in diet
3. Ferrous form
4. Acidity

Correct answer: 2. High phosphates in diet

Explanation: Ans. is 'b' i.e., High phosphates in diet